Monday disease is seen with
1. Beta blockers
2. Nitrates
3. Calcium channel blockers
4. Potassium channel openers

Correct answer: 2. Nitrates

Explanation: Nitrates because of tolerance produce Monday headache in workers working in nitrate industry which gradually subsides by Friday. Ref: Katzung 12th ed.